True about otosclerosis -a) 50% have family historyb) Males are affected twice than femalesc) More common in Negro's and African'sd) Deafness occurs in 20-30 yrs but less in before 10 yrs and after 40 yrse) Pregnancy has bearing on it
1. ade
2. bde
3. abd
4. ad

Correct answer: 1. ade